The most common congenital cardiac abnormality associated with the maternal rubella infection during pregnancy is
1. Atrial septal defect
2. Patent ductus arteriosus
3. Ventricular septal defect
4. Coarctation of aorta

Correct answer: 2. Patent ductus arteriosus

Explanation: Congenital rubella syndrome characterized by PDA,PS,VSD. Ref : Ghai essential of pediatrics, eighth edition ,p.no:401